Fibrin degradation product help in detection of
1. haemophilia
2. DIC
3. Thrombocytopenic purpura
4. Thrombasthenia

Correct answer: 2. DIC